Not true about microtubules is/are:
1. Dynamic instability
2. Polarity
3. Charged
4. GTP not required

Correct answer: 4. GTP not required

Explanation: D i.e. GTP not required